Accommodation is due to
1. Relaxation of ciliary muscles
2. Contraction of ciliary muscles
3. Contraction of dilator pupillae
4. None

Correct answer: 2. Contraction of ciliary muscles

Explanation: Ans. Contraction of ciliary muscles